Not a feature of Stein Leventhal syndrome is
1. Increased androgens
2. Increased or normal oestrogens
3. Galactorrhoea
4. Increased LH

Correct answer: 3. Galactorrhoea

Explanation: Stein-Leventhal syndrome is another term for polycystic ovarian disease (PCOD). In this condition, androgens are raised due to hyperthecosis leading to hirsutism. Oestrogen level is normal but LH level and LH / FSH ratio is raised. It is an important cause of secondary amenorrhoea and infertility in young women. Clomiphene is the drug of choice for infertility in PCOD and cyproterone acetate is the drug of choice for hirsutism. ref Katzung 12th ed.